The first and most important step in management of a case of trauma is:
1. Supply large amount of oxygen
2. Start intravenous infusion
3. Clearing the airway
4. Call ambulance

Correct answer: 3. Clearing the airway

Explanation: "Upon initial evaluation, ascertaining patency of the airway is of highest priority."